Actions of opiates in man include all except:
1. Constipation
2. Vomiting
3. Analgesia
4. Mydriasis

Correct answer: 4. Mydriasis